The following can lead to acute renal failure (ARF) due to intrinsic renal disease except-
1. Systemic lupus erythematosus
2. Leptospirosis
3. Hepatorenal syndrome
4. Hemolytic uremic syndrome

Correct answer: 3. Hepatorenal syndrome

Explanation: Lupus nephritis happens when lupus involves the kidneys. Up to 60% of lupus patients will develop lupus nephritis. When the kidneys are inflamed, they can't function normally and can leak protein. If not controlled, lupus nephritis can lead to kidney failure. Renal involvement in leptospirosis can vary from a subclinical course, with mild proteinuria and urinary sediment abnormalities, to severe AKI. Acute kidney injury usually presents with a rapid elevation in serum urea and creatinine, and can be associated with jaundice Hemolytic-uremic syndrome (HUS) is a clinical syndrome characterized by progressive renal failure that is associated with microangiopathic (nonimmune, Coombs-negative) hemolytic anemia and thrombocytopenia. HUS is the most common cause of acute kidney injury in children and is increasingly recognized in adults Ref Harrison20th edition pg 303